About Helicobacter pylori, all are true except:
1. Is a Gram -ve spiral bacteria
2. Uncommon in undeveloping Asian countries
3. Urea breath test +ve
4. Associated with duodenal ulcer

Correct answer: 2. Uncommon in undeveloping Asian countries

Explanation: Ans is 'b' i.e., Uncommon in undeveloping Asian countries (Ref: Harrison, 17th/e, p.946,19th/e, p. 1038; Ananthanarayan, 9th/e, p. 400)Approximately 85% of developing countries are affected by H. pylori.